Which of the following infection resembles malignancy -
1. Echinococcus granulosus
2. E. Multilocularis
3. E. Vogeli
4. E. Oligarthus

Correct answer: 2. E. Multilocularis

Explanation: most commonly affected organ is liver . The multilocular infiltrating lesions appears like a grossly invasive growth which may be mistaken as a malignant tumour.It may also metastasise to other body parts such as lungs ,brain and mediastinum Ref :panikers textbook of Medical parasitology 8th edition page: 136)